A Health Guide works at –
1. Each village level
2. Sub-centre level
3. PHC level
4. Community level

Correct answer: 1. Each village level

Explanation: Village health guides

A village health guide is a person with an aptitude for social service and is not a full time government functionary.
The health guides are now mostly women.
The health guides come from and are chosen by the community.
They serve as links between the community and the government infrastructure and provide the first contact between the individual and the health system.

Selection

The guidelines for their selection are : -


They should be permanent residents of the local community.
They should be able to read & write (minimum education upto VI standard).
They should be able to spare at least 2 to 3 hours every day for community health work.
They should be acceptable to all sections of the community.